There is mutation of gene coding for the ryanodine receptors in malignant hyperthermia. Which of the following statements best explains the increased heart production in malignant hyperthermia
1. Increased muscle metabolism by excess of calcium ions
2. Thermic effect of food
3. Increased sympathetic discharge
4. Mitochondrial thermogenesis

Correct answer: 1. Increased muscle metabolism by excess of calcium ions

Explanation: Malignant hyperthermia (MH) or malignant hyperpyrexia is a rare life-threatening condition that is usually triggered by exposure to certain drugs used for general anesthesia -- specifically the volatile anesthetic agents and succinylcholine, a neuromuscular blocking agent. In susceptible individuals, these drugs can induce a drastic and uncontrolled increase in oxidative metabolism in skeletal muscleRef: Ganong's review of medical physiology; 24th edition; page no: 320